Which one of the following is the most appropriate clinical tests to confirm the iron-deficiency anaemia?
1. Red blood cell indices
2. Serum ferritin level
3. Bone-marrow examination
4. Urinary iron clearance

Correct answer: 2. Serum ferritin level